Essential fatty acid:
1. Citric acid
2. Linoleic acid
3. Stearic acid
4. Palmitic acid

Correct answer: 2. Linoleic acid

Explanation: ESSENTIAL FATTY ACID -Linoleic and Linolenic acid are the two essential fatty acids that can't be synthesized in our body and must be taken in the diet. PUFA -ESSENTIAL FATTY ACID PUFA (Poly Unsaturated Fatty Acid) OMEGA 3 OMEGA 6 CERVONIC ACID /DHA -22 Carbons & 6 Double Bonds GAMMA-LINOLENIC ACID - 18 Carbons &3 Double Bonds ALPHA -LINOLENIC ACID -18 Carbons &3 Double Bonds LINOLEIC ACID-18 Carbons& 2 Double Bonds TIMNODONIC ACID -20 Carbons & 5 Double Bonds ARACHIDONIC ACID-20 Carbons AND 4 Double Bonds ALPHA LINOLENIC ACID & LINOLEIC ACID Can make other fatty acid in body Why essential fatty acids can't be synthesisedin our body?Essential fatty acids are polyunsaturated fatty acids. In our body, doublebonds can be introduced at the D4, D5, D6, and D9 positions by the desaturase enzymes, but never beyond the D9 position.